A 23 year old lady presents with acute right sided lower abdominal pain since 4 hours. There is tenderness at McBurney's point. Which investigation is best suited to confirm the diagnosis of appendicitis
1. CT Scan
2. Palin Xray
3. Serum ESR
4. MRI Abdomen

Correct answer: 1. CT Scan

Explanation: Answer- A. CT ScanClinical feature are suggestive ofappendicitis.Right lower quadrant pain is a common clinical presentation. Because of low cost and easy availability, USG is sometimes preferred, but it is often inconclusive.Spiral CT is the imaging modality of choice in patients presenting with right lower quadrant pain as it helps make a definitive diagnosis in the majority of cases